Rhabdomvolysis seen is -
1. Hyperphosphatemia
2. Hyponatremia
3. Hypokalemia
4. Metabolic alkalosis

Correct answer: 1. Hyperphosphatemia

Explanation: Ans. is 'a' i.e., Hyperphosphatemia Features of Rhabdomyolysiso Hyperkalemiao Hyperphosphatemiao Hyperuricemiao Metabolic acidosiso DICo Decrease in albumino Compartment syndrome